All of the following are side effects of tacrolimus except -
1. Nephrotoxicity
2. Ototoxicity
3. Neurotoxicity
4. Hepatotoxicity

Correct answer: 2. Ototoxicity

Explanation: Ans. is 'b' i.e., Ototoxicity Adverse effects of Tacrolimus o Nephrotoxicity (most common and dose limiting) o Neurotoxicity o Hepatotoxicity o GI toxicity o Alopecia o Hypertension o Hematological toxicity (Leucocytosis, thrombocytopenia) o Endocrine (hyperglycemia, hyperlipidemia)